Not a cause of Gynaecomastia:
1. INH
2. Cimetidine
3. Digitalis
4. Pyrazinamide

Correct answer: 4. Pyrazinamide

Explanation: Pyrazinamide